A man of 50 years presents following the death of his wife, which one is an abnormal grief reaction
1. A brief episode of seeing the dead person
2. Poor concentration
3. Poor memory
4. Delayed or absent grief

Correct answer: 4. Delayed or absent grief